Gray baby syndrome is caused by :
1. Chlorpromazine
2. Chloramphenicol
3. Phenytoin
4. Gentamycin

Correct answer: 2. Chloramphenicol